An unruptured ectopic pregnancy patient underwent salpingostomy procedure, where
1. Tubal incision is left open for secondary healing
2. Tubal Incision is closed with sutures
3. Milking of the tube is done
4. Partial excision of tube

Correct answer: 1. Tubal incision is left open for secondary healing

Explanation: SalpingostomyThis procedure is typically used to remove a small unruptured pregnancy. A 10- to 15-mm linear incision is made on the antimesenteric border of the fallopian tube over the pregnancy. The products usually will extrude from the incision. Small bleeding sites are controlled with needlepoint electrocoagulation, and the incision is le unsutured to heal by secondary intention. Serum b-hCG levels are used to monitor response to both medical and surgical therapy.SalpingectomyTubal resection may be used for both ruptured and unruptured ectopic pregnancies. To minimize the rare recurrence of pregnancy in the tubal stump, complete excision of the fallopian tube is advised.Reference: William's Obstetrics; 25th edition; Chapter 19; Ectopic pregnancy